Cryoprecipitate contains all except-
1. Factor VIII
2. Factor IX
3. Fibrinogen
4. VWF

Correct answer: 2. Factor IX

Explanation: Answer is B (Factor IX) Cryoprecipitate is not a source for factor IX Cryoprecipitate is a source for Fibrinogens' Factor VII1Q vwFQ Cryoprecipitate also contains factor XIII (I), and fibroructin Cryoprecipitate is ideal for supplying fibrinogen to the volume deficient patient Cryoprecipitate is indicated for factor VIII deficiency (Hemophilia A) when fresh Frozen plasma is not available Cryoprecipitate may also supply VWF to patients will dysfunctional (type II) or absent (type III) von Willebrand disease